With contraceptive failure, which method has a relative increased risk of ectopic pregnancy?
1. Condoms
2. Vasectomy
3. Tubal sterilization
4. Vaginal ring

Correct answer: 3. Tubal sterilization

Explanation: With any form of contraceptive, the absolute number of ectopic pregnancies is decreased because pregnancy occurs less often. In some contraceptive failures, however, the relative number of ectopic pregnancies is increased. Examples include some forms of Tubal sterilization, Intrauterine devices, High-dose estrogen, Emergency contraception and Progestin only Minipills.